Which of the following is not given in the treatment cyanotic spells in a patient of TOF?
1. Phenylephrine
2. Propranolol
3. Calcium chloride
4. Sodium bicarbonate

Correct answer: 3. Calcium chloride

Explanation: Calcium chloride is not used . Propanolol,sodium bicarbonate, phenylephrine are given for cyanotic spells Ghai essential of pediatrics, eighth edition ,p.no:412,table 15.13